Which test is performed to detect reversible myocardial ischemia -
1. Coronary angiography
2. MUGA scan
3. Thallium scan
4. Resting echocardiography

Correct answer: 3. Thallium scan